Killan’s Dehiscence is found in
1. Oropharynx
2. Nasopharynx
3. Laryngopharynx
4. Lateral nasal wall

Correct answer: 3. Laryngopharynx